Erythropoietin secreting tumor (s) -
1. Cerebellar hemangioblastoma
2. Hepatoma
3. Renal cell Ca
4. All

Correct answer: 4. All

Explanation: Answer is 'a' i.e. Cerebeller hemangioblastoma; 'b' i.e. Hepatoma; 'c' i.e. Renal cell Ca